Posterior wall of inguinal canal is formed by all of the following structures, EXCEPT ?
1. Interfoveolar ligament
2. Parietal peritoneum
3. Fascia transversalis
4. Internal oblique muscle

Correct answer: 4. Internal oblique muscle

Explanation: The posterior wall of inguinal canal is formed by: Along the whole length: fascia transversalis, extraperitoneal tissue, parietal peritoneum, inferior epigastric vessels. Along the medial two third of the canal: Conjoint tendon, reflected part of inguinal ligament and interfoveolar ligament in the lateral one third. Structures forming anterior wall of inguinal canal: Along the whole length of canal: skin, superficial fascia, external oblique aponeurosis. Along the lateral third of the canal: The fleshy fibers of the internal oblique muscle are also present deep to the external oblique aponeurosis. Anterior wall of the inguinal canal is formed in the whole length by the aponeurosis of external oblique muscle.